An organism produces cutaneous disease (malignant pustule or eschar) at the site of inoculation in handlers of animal skins. Most likely organism is:
1. Bacillus anthracus
2. Pseudomonas Aeruginosa
3. Nisseria meningitides
4. Cryptococcus neoformans

Correct answer: 1. Bacillus anthracus

Explanation: Bacillus anthracus